The following situations are associated with rise of temperature after death except -
1. Burns
2. Heat stroke
3. Pontine hemorrhage
4. Septicemia

Correct answer: 1. Burns

Explanation: Heat, stroke, septicemia and pontine hemorrhage can cause postmortem caloricity.